A young female with history of renal calculi complains of bone pain and abdominal cramps. On investigation, multiple fractures were discovered and serum calcium and PTH was raised. Which of the following will be the best investigation to arrive at a definitive diagnosis?
1. CECT neck
2. Sestamibi scan
3. Radioiodine scan
4. Ultrasound neck

Correct answer: 2. Sestamibi scan

Explanation: Hyperparathyroidism Patient with PHPT formerly presents with classic pentad of symptoms Kidney stones Psychic moans Painful bones Fatigue overtones Abdominal groans -Biochemical findings - increase Serum Ca++ ,Increase PTH -MC cause is single adenoma Best investigation to localize parathyroid Adenomas - Sestamibi scan